A patient comes with history of unresponsive fever and cough. X-ray revealed pneumonia. Sputum examination showed gram positive, partially acid fast bacteria with branching filaments that grows on sheep blood agar. The most likely etiologic agents is:
1. Actinomycetes
2. Nocardia
3. Aspergillosis
4. Pneumococci

Correct answer: 2. Nocardia

Explanation: Ans. (b) i.e. Nocardia